Diseases caused by Chlamydia -
1. LGV
2. Trachoma
3. Nonspecific cervicitis
4. All the above

Correct answer: 4. All the above